Penetrating iron particle in eye which of the following investigation will not be used ?
1. X- ray
2. CT scan
3. MRI
4. USG

Correct answer: 3. MRI

Explanation: Ans. is 'c' i.e., MRI MRI is contraindicated in presence of metalic (magnetic) foreign body.